Red degeneration of uterine fibroid :
1. Is aseptic infarcation
2. Only occurs in pregnancy
3. Causes leucopenia with lymphocytosis
4. Is due to emboli occluding the major blood vessels supplying the myoma

Correct answer: 1. Is aseptic infarcation

Explanation: Is aseptic infarcation